DOC in primary syphillis is
1. Corticosteroid
2. Oral Penicilline
3. Benzathine Penicilline
4. Crystalline Penicilline

Correct answer: 3. Benzathine Penicilline

Explanation: C i.e. Benzathine penicillin